Following are true of kyasanur forest disease except?
1. Transmitted by Soft tick
2. Caused by retrovirus
3. Incubation Period is 3-8 days
4. Killed vaccine available

Correct answer: 2. Caused by retrovirus

Explanation: Ans. is `b' i.e., Caused by retrovirus Kyasanur forest Disease (KFD) . KFD is a febrile disease associated with haemorrhages. . Caused by an arbovirus flavivirus (group B togavirus). . Disease is common in four districts of karnataka - Shimoga, North Kannada, South Kannada and Chikamagaloor. . Vector - Main vector is hard tick but soft tick can also transmit the disease. . Reservoirs - Small mammals, rats and squirrels are the main reservoir. - Monkey amplifying host - Man --> Incidental dead pend host. . Mode of transmission --> Tick bite . Age group --> 20-40 years. . Incubation period 3-8 days. C/Fs --> 1) Sudden onset of fever, headache, myalgia with prostration. 2) GI disturbances 3) Haemorrhages from nose, gums, stomach and intestine. . For population at risk, killed KFD vaccine is available.